An RNA molecule is extracted from culture of gram negative bacteria. This extract contained dihydrouracil, Pseudouridine thymidine residues. which of the following is most likely composition of 3' end of this molecule
1. AUG
2. CCA
3. UAG
4. PolyA

Correct answer: 2. CCA

Explanation: The given RNA is tRNA as it has unusal bases. It has CCA sequence at its 3' end that is used as recognition sequence by proteins.